All of the following are part of the innate immunity except -
1. Complement
2. NK cells
3. Macrophages
4. T cells

Correct answer: 4. T cells

Explanation: Natural killer cells (NK cells) are a component of the innate immune system that does not directly attack invading microbes. Other components are mast cells, eosinophils, basophils; and the phagocytic cells including macrophages, neutrophils,complement cascade and dendritic cells. Ref: Ananthanarayan & Panikers textbook of microbiology 9th edition pg.no. : 78-81